In a young female of reproductive age an absolute contraindication for prescribing OCP's is
1. Diabetes
2. Hypertension
3. Obesity
4. Impaired liver function

Correct answer: 4. Impaired liver function

Explanation: OCP act by - causing atropic changes of endometrium preventing nidation - Thickening cervical mucus - Increasing the tubal motility. The hormones of the OCP are metabolized in the liver. Hence, chronic liver diseases and liver failure are absolute CI of OCP.